Leucocyte common antigen is seen in?
1. Lymphoma
2. Ewing sarcoma
3. Rhabdomyosarcoma
4. Osteosarcoma

Correct answer: 1. Lymphoma